Sentinel lymph node is defined as -
1. Primary LN draining tumor
2. LN which is first excised during MRM
3. LN nearest to tumor
4. None

Correct answer: 1. Primary LN draining tumor

Explanation: Ans. is 'a' i.e., Primary LN draining tumor